After delivery, a 28 year old pre ecclamptic primigra has a soft uterus with moderate-to-heavy bleeding. There is no laceration and there is PPH diagnosed due to uterine atony. Which of the following is the best management option?
1. 0.2-mg intramuscular (IM) ergonovine (Methergine)
2. 20 units of IV oxytocin
3. 10 units of oral oxytocin
4. 250 mg prostaglandin F2-alpha orally

Correct answer: 2. 20 units of IV oxytocin

Explanation: Ergot derivatives should not be given in patients with hypertension since this is classically known to increase blood pressure. A high BP may provoke a post partum ecclampsia Oxytocin is not orally effective . Prostaglandin F2-alpha is given IM.